Treatment of choice of thoracic actinomycosis is -
1. Amphotericin B
2. Cotrimoxazole
3. Penicillin
4. Itraconazole

Correct answer: 3. Penicillin